Reversed Coarctation is seen in:
1. Giant cell Arteritis
2. Polyarteritis Nodosa
3. Takayasu Arteritis
4. Kawasaki Disease

Correct answer: 3. Takayasu Arteritis

Explanation: Answer is C (Takayasu Arteritis): Takayasu arteritis is also known as 'Reversed Coarctation'. Condition Coarctation of Aorta Takayasu Arteritis (Reversed Coarctation) Pathology (Site of Obstruction) Obstruction is most commonly found just distal to the origin of the left Subclavian artery thereby sparing the upper limb vessels Obstruction is most commonly seen in proximal aspect of branches of the aortic arch including the Subclavian and Common Carotid thereby affecting the upper limb vessels Pulses Absence or diminished pulse in the lower limbs Absence or diminished pulse in the upper limbs Blood Pressure Increased blood pressure in the upper limbs Decreased blood pressure in the upper limbs